ACTH is increased in all except
1. Exercise
2. Emotions
3. Evening
4. Tumors

Correct answer: 3. Evening

Explanation: Adrenocorticotrophic hormone; hormone produced by the anterior lobe of the pituitary gland that stimulates the secretion of cortisol and other hormones by the adrenal cortex. Also called adrenocorticotropin, corticotropin.Ref: Ganong's review of medical physiology; 24th edition; page no:-368